Dose of fosfomycin in a 40 years patient who is weighing 60 kg:-
1. 6 g single dose
2. 6 mg/kg single dose
3. 3 g single dose
4. 3 mg/kg single dose

Correct answer: 3. 3 g single dose

Explanation: Fosfomycin is used for uncomplicated cystitis. The single dose of 3g is given. It is given for wide spectrum including Staphylococcus aureus, VRE, Gram negative bacteria including Pseudomonas and ESBL producing strains.